which is false regarding LAC OPERAN MODEL :
1. CAMP-CAP COMPLEX IS A POSTIVE REGULATOR
2. PROMOTER IS A TRANS ACTING FACTOR
3. Y gene = GALACTOSIDE PERMEASE
4. A gene= GALACTOSIDE ACETYLASE

Correct answer: 2. PROMOTER IS A TRANS ACTING FACTOR

Explanation: promotor is a cis acting factor in lac model The lac operon * The lactose operon designated as lac operon. * The lac operon codes for enzymes involved in the catabolism (degradation) of lactose. * lactose is the disaccharide which is made up of glucose & galactose. * It is the inducible operon since the presence of lactose induce the operon to switched on. ref : vasudevan 9th ed